Superior temporal gyrus lesion leads to?
1. Anomic aphasia
2. Wernicke's aphasia
3. Broca's aphasia
4. Non-fluent aphasia

Correct answer: 2. Wernicke's aphasia

Explanation: Wernicke's area Lies in dominant posterior part of superior temporal gyrus. It is a sensory speech area. Lesion is due to occlusion of inferior division of middle cerebral artery.